Mantle cell lymphoma shows-
1. CD5 +, CD25
2. CD 5 +, CD 10 +
3. CD 5+, CD23+
4. CD 5+, CD 23 -

Correct answer: 4. CD 5+, CD 23 -

Explanation: Mantle cell lymphoma is usually CD5+ and CD23 - . This helps to distinguish it from CLL /SLL. Reference : Robbins and Cotran Pathologic basis of disease.South Asia Edition volume 1.page no. 603